Indications of tracheostomy are – a) Flail chestb) Head injuryc) Tetanusd) Cardiac tamponadee) Foreign body
1. bcde
2. abcd
3. abce
4. abde

Correct answer: 3. abce

Explanation: Flail chest due to multiple rib fracture, coma due to head injury, respiratory muscle spasm due tetanus and laryngeal foreign body are indications for tracheostomy.